The inferior Laryngeal artery is a branch of
1. Inferior thyroid artery
2. Superior thyroid artery
3. Thyrocervical trunk
4. Ascending cervical artery

Correct answer: 1. Inferior thyroid artery

Explanation: The inferior thyroid artery arises from the thyrocervical trunk The branches of the inferior thyroid artery are the inferior laryngeal, the oesophageal, the tracheal, the ascending cervical and the pharyngeal arteries.Ref: Chaurasia; Volume III; 7th edition; Page no: 155